A 7 year old child with rheumatic heart disease presents with pallor, fever and a palpable spleen. The following investigations would be needed to arrive at a diagnosis except -
1. Electrocardiogram
2. Echocardiogram
3. Blood culture
4. Urine examination

Correct answer: 1. Electrocardiogram

Explanation: Ans. is 'a' i.e., Electro-cardiogram